CMV retinitis in HIV occurs when the CD4 counts falls below -
1. 50
2. 100
3. 200
4. 150

Correct answer: 1. 50